Most common predisposing factor for chronic pyelonephritis is:
1. Diabetes mellitus
2. Renal stone
3. Posterior urethral valve
4. Vesicoureteric reflux

Correct answer: 4. Vesicoureteric reflux

Explanation: Chronic pyelonephritis is so often associated with vesicoureteric reflux that some feel that it is better named "Reflux nephropathy". It is important cause of renal damage and death from end - stage renal failure.